The lymphocytic and histiocytic variant of Reed-Sternberg cell is seen in-
1. Follicular center lymphoma
2. Lymphocyte depleted Hodgkin's disease
3. Nodular sclerosis Hodgkin's disease
4. Lymphocyte predominant Hodgkin's disease

Correct answer: 4. Lymphocyte predominant Hodgkin's disease

Explanation: Lymphocytic -histiocytic RS celle or polypoidal type or popcorn type seen in lymphocyte predominant type of HD .This type of RS cells are larger with lobulated nucleus in the shape of popcorn. In nodular sclerosis variety ,lacunar type is seen. In lymphocyte depleted HD pleomorphic type of RS cell is seen.Follicular lymphoma is an B cell malignancy. Ref : Harsh Mohan textbook of pathology, 7th edition.Pg no.349,350